Transport form of iron is-
1. Transferrin
2. Ferritin
3. Apoferritin
4. Lactoferrin

Correct answer: 1. Transferrin

Explanation: (Ref: Satyanarayana, Ed. 1st, Pg-189,459) * Transferrin / Siderophilin is a glycoprotein which transports iron in the circulation. * Each transferrin molecule can bind with two atoms of ferric ion (Fe+3). As free iron is toxic to the body, binding of iron to transferrin reduces toxicity (apart from transporting iron from gut to target tissues). * Plasma transferrin can bind with 400u g of iron/dl plasma. This is known as Total Iron Binding Capacity (TIBC) of plasma. * Ferritin is the storage form of iron in mucosal cells (temporarily), liver, spleen and bone marrow.